With regard to sickle cell disease -
1. 25% of the black population have sickle cell disease
2. The most severe form of sickle cell retinopathy is associated with SS disease
3. Optic disc is the first site of neovascularization in patient with severe retinal ischamia
4. None of the above

Correct answer: 4. None of the above